Most common genetic factor in Neisseria infection is
1. Male gender
2. HLA b27
3. Complement deficiency
4. IgG deficiency

Correct answer: 3. Complement deficiency

Explanation: Complement deficiencies are said to comprise between 1 and 10% of all primary immunodeficiencies. The genetic deficiency of early components of the classical pathway (C1q, C1r/s, C2, C4) tends to be linked with autoimmune diseases, whereas C5 to C9 deficiency may have enhanced susceptibility to meningococcal disease. Reference: Textbook of Microbiology; Anathanarayan and panicker's; 10th edition; Pg: 232